Hypokalemic periodic paralysis is inherited as an autosomal dominant disorder with incomplete penetrance; it is resulted because of mutation in:
1. Sodium channel
2. Potassium channel
3. Chloride channel
4. Calcium channel

Correct answer: 4. Calcium channel

Explanation: Ans. D. Calcium channelHypokalemic Periodic Paralysis* Onset occurs at adolescence.* Men are more often affected because of decreased penetrance in women.* Hypokalemic periodic paralysis is inherited as an autosomal dominant disorder with incomplete penetrance.* Mutations in the voltage-sensitive, skeletal muscle calcium channel cause the disease.